What is the most common complication of ERCP
1. Acute pancreatitis
2. Perforation
3. Bleeding
4. Infection

Correct answer: 1. Acute pancreatitis

Explanation: Most common complication of ercp is acute pancreatitis.
Second most common complication is duodenal perforation
Cholangitis, bleeding, infection are the other complication.